Which of the following is not associated with chorioamnionitis?
1. Preterm labour
2. Endometritis
3. Abruptio placentae
4. Placenta accreta

Correct answer: 4. Placenta accreta

Explanation: Ans-D i.e. Placenta accretaComplications of ChorioamnionitisPremature rupture of membrane (M.C.)Premature laborEndometritisParametritisEarly placental separation (Abruptio Placenta)Diagnosis of chorioamnionitisDiagnosis of chorioamnionitis is clinicalIt requires-The presence of Fever >=100deg F or 37.8degC andAt least two of the following conditionsMaternal tachycardia fetal tachycardia uterine tenderness Foul odor of amniotic fluid Maternal LeucocytosisBacterias most frequently associated with chorioamnionitis are;Ureaplasma urealyticum Mycoplasma hominis BacteroidesTreatmentThe mainstay of treatment in vaginal delivery - Vaginal delivery should be done in all cases if obstetrical factors are favorable